Giant cell arteritis causes which of the following in the eye -
1. Episcleritis
2. Anterior ischemic optic neuropathy
3. Neuroparalytic keratitis
4. Band keratitis

Correct answer: 2. Anterior ischemic optic neuropathy

Explanation: Answer- B. Anterior ischemic optic neuropathyCauses of vision lossAnterior ischemic optic neuropathy.Central retinal artery occulusion.Posterior ischemic optic neuropathy.Branch vetinal artery occlusionCerebral ischemia